A year 6 old child with IQ of 50. Which of the following can this child do?
1. Identify colours
2. Read a sentence
3. Ride a bicycle
4. Copy a triangle

Correct answer: 1. Identify colours

Explanation: IQ = mental age/chronological age X 100 Mental age = IQ x chronological age/100 = 50 X 6/100 = 3 years The mental age of this child is 3 years. At 3 years children can identify two colours. Developmental milestones 18 months 24 months 36 months Fine motor stacking seven 1 inch cubes Copy a circle Hold pencil with mature grasp Gross motor Jumping and clearing ground Alternating feet downstairs Balancing on one foot for 2s Language Naming one picture in a book Following two step command Use 3 to 4 word sentences Use pronouns appropriately Identify two colours Social adaptive Independent feeding with spoon and fork Independent dressing w/o tying shoes Independent toileting Cognition Playing with toys in a functional way Re enacting familiar activities Use imaginary objects in play Role playing several familiar people Drawing face of a person with crude features Socio emotional Demonstrate shared attention Show strong sense of self Play side by side with a single peer Separating from parent w/o crying Labeling feelings in self Taking turns and sharing Ref: Primary Care Pediatrics edited by Carol Green-Hernandez page 130.